A child presents with raised ICT. On CT scan a lesion is seen around foramen of monro with multiple periventricular calcific foci. What could be probable diagnosis:
1. Subependymal giant cell astrocytoma (SGCA)
2. Subependymoma or Ependymoma
3. Pilocytic astrocytoma
4. Neurocytoma

Correct answer: 1. Subependymal giant cell astrocytoma (SGCA)

Explanation: A i.e. (Subependymal giant cell astrocytoma (SGCA)) Foramen of Monro (FM) is a Y shaped structure that connects the two lateral ventricles with the third ventricle. FM masses are uncommon in young children. Subependymal giant cell astrocytoma (SGCA) occurs in older children & young adults with tuberous sclerosisQ. Pilocytic astrocytoma also occurs in this age group. Subependymoma and central neurocytoma occurs in adults. All FM masses can cause obstructive hydrocephalous and lead to raised intracranial tension. Well delinated Intraventricular -Mass around foramen of Monro with Calcification & Obstructive Hydrocephalus.